Head and neck burns in infant constitute _____________of burns:
1. 9
2. 18
3. 24
4. 36

Correct answer: 2. 18

Explanation: Ans. 18